Which of the following is the terminal group of lymph node for colon?
1. Paracolic
2. Epicoltc
3. Preaortic
4. Ileocolic

Correct answer: 3. Preaortic

Explanation: Ans. c. Preaortic Primary or terminal group of lymph nodes are located on the superior or inferior mesenteric artery. Superior and inferior mesenteric lymph nodes (along with celiac lymph nodes) are a part of the Pre-aortic group of lymph nodes.Fig. 8: Lymphatic drainage of large intestineLymphatic drainage of Large intestine* Lymphatic drainage also follows the arterial anatomy.* Lymphatics from the colon and proximal two thirds of the rectum ultimately drain into the para-aortic nodal chain, which empties into the cisterna chyliQ.* Superior and inferior mesenteric nodes are part of Pre-aortic group of lymph nodes0.* Lymphatics draining the distal rectum and anal canal may drain either to the para-aortic nodes or laterally, through the internal iliac system, to the superficial inguinal nodal basin (dentate line roughly marks the level where lymphatic drainage diverges)* Lymph nodes are commonly grouped into levels depending on their location.EpicoficLocated along the bowel wall and in the epiploicaedegParacolicLocated adjacent to the marginal artery0IntermediateLocated along the main branches0 of the large blood vesselsPrimary or terminalLocated on the superior or inferior mesenteric artery0